Gamma radiations are used for sterilizing?
1. Syringes
2. Cystoscopes
3. Dressing aprons
4. Metal instruments

Correct answer: 1. Syringes

Explanation: IONISING RADIATION: commercial plants use gamma radiations for sterilizing items like plastics, syringes, swabs, catheters, animal feeds, cardboards, oils, grease, fabrics and metal foils. REF:Ananthanarayan and Panicker's Textbook ofMicrobiology 8thEdition pg